Extreme fragility and fracture of the bones, blue sclera, brownish or yellow teeth with translucent or opalescent hue. Given features are suggestive of:
1. Rickets
2. Osteogenesis imperfecta
3. Osteopetrosis
4. Marfan syndrome

Correct answer: 2. Osteogenesis imperfecta